A patient of RTA having pelvic fracture was referred by orthopedics resident for the complaints of suprapubic pain, difficulty in ability to pass urine and hematuria. Cystography is given below. What are the indications of surgical repair?
1. Repeated blockade of catheter due to bleeding
2. Projecting bone fragment impinging on the bladder wall
3. Tear extending to the bladder neck
4. All of the above

Correct answer: 4. All of the above

Explanation: Bladder rupture- Diagnosis is Extraperitoneal bladder rupture (MC)- bladder is still in the pelvis- Intraperitoneal bladder rupture- distended bladder + external blow to the bladder + peritonitis- For Extraperitoneal bladder rupture on cystography- FLAME SIGN, PEAR SHAPED/ TEAR DROP SHAPED BLADDER. - Posterior urethral injuries are associated with Extraperitoneal bladder rupture and pelvic fractures Indications of surgery- Repeated blockade of catheter due to bleeding- Projecting bone fragment impinging on bladder wall- Tear extending to bladder neck